Species of Anopheles transmitting transmitting malaria is urban areas is
1. Culcifacies
2. Stephensi
3. Minimus
4. Fluviatilis

Correct answer: 2. Stephensi